In a pregnant women with heart disease, all the following are to be done except.
1. IV methergin after delivery
2. Prophylactic antibiotic
3. IV frusemide postpartum
4. Cut short 2nd stage of labour

Correct answer: 1. IV methergin after delivery

Explanation: Ans. is 'a' I.V. Methergine after delivery (Ref. : Dutta, 6/e, p 280 (5/e, p. 295, 296, 4/e, p295,296)]" I. V Methergine with the delivery of Ant. Shoulder should be withheld to prevent sudden overloading of the heart by additional blood squeezed out from the uterus."Some important features about management of heart disease in pregnancy.In 2nd stage2nd stage shortened by application of forceps*.Furosemide is administered immediately after the birth of baby (By augmenting renal blood flow it diverts some of the excess blood volume that is added to circulation).3rd stageI.V. Methergine is contraindicated*.Note : There is no role of induction of labour in heart diseases.